Portal hypertension is defined as, hepatic venous pressure gradient (HVPG) greater than
1. 5 mm of hg
2. 10 mm of Hg
3. 15 mm of Hg
4. 20 mm of Hg

Correct answer: 1. 5 mm of hg

Explanation: Portal hypertension is defined as the elevation of the hepatic venous pressure gradient (HVPG) to >5 mmHg. Portal hypertension is caused by a combination of two simultaneously occurring hemodynamic processes: 1) Increased intrahepatic resistance to the passage of blood flow through the liver due to cirrhosis and regenerative nodules, and 2) Increased splanchnic blood flow secondary to vasodilation within the splanchnic vascular bed. Portal hypertension is directly responsible for the two major complications of cirrhosis: variceal haemorrhage and ascites.Ref: Harrison 19e pg: 2063